Which of the following drugs is used for the prophylaxis of migraine but not for angina pectoris
1. Verapamnil
2. Diltiazem
3. Flunarizine
4. Amlodipine

Correct answer: 3. Flunarizine

Explanation: Ref -KDT 6/e p172 Flunarizine, sold under the brand name Sibelium among others, is a drug classified as a calcium antagonist which is used for various indications. It is not available by prescription in the United States or Japan. The drug was discovered at Janssen Pharmaceutica in 1968